What is not true for facial artery :
1. Main source of oxygentaed blood to palatine tonsil
2. Is a branch of internal carotid artery
3. Supplies branches to both upper and lower lips
4. Conveys postganglionic sympathetic nerve fibres

Correct answer: 2. Is a branch of internal carotid artery

Explanation: B i.e. Is a branch of internal carotid artery